DOC for a pregnant woman in 2nd trimester with pustular psoriasis is –
1. Prednisolone
2. Dapsone
3. Acitretin
4. Methotrexate

Correct answer: 1. Prednisolone

Explanation: Treatment of choice for generalized pustular psoriasis in pregnancy are oral corticosteroids